Vossius ring is seen on
1. Cornea
2. Anterior capsule of lens
3. Posterior capsule of lens
4. Iris

Correct answer: 2. Anterior capsule of lens

Explanation: Vossius ring is the Iris pigments inprinted on the anterior capsule of the lens in shape of Pupil It is due to blunt trauma Refer: Khurana 6th edition page number 430